In Exit wound which of the following is seen:
1. Inveed margins
2. Bevelled outer table
3. Di collarTattoing
4. Tattoing

Correct answer: 2. Bevelled outer table

Explanation: Bevelled outer table